Loading dose of diazepam for alcohol withdrawal is?
1. 80mg
2. 50mg
3. 40mg
4. 20mg

Correct answer: 4. 20mg

Explanation: Ans. D. 20mgRigid:10 mg four times dailyFlexible:10 mg every 4-6 hours asneeded based on symptoms to a maximum of 60 mg/dayFront loading:20 mg every 2-4 hours until sedation is achieved; then 10 mg every 4-6 hours as needed to a maximum of 60 mg/day